A patient is known alcoholic since last 20 yrs, suddenly he develops restless tremors, agitation. Diagnosis ?
1. Delirium tremens
2. Psychosis
3. Wernicke's encephalopathy
4. Kursakoff's syndrome

Correct answer: 1. Delirium tremens

Explanation: Ans. is 'a' i.e., Delirium tremens